Which of the following is not administered by intradermal route?
1. BCG
2. Drug sensitivity injection
3. Mantoux
4. Insulin

Correct answer: 4. Insulin

Explanation: Insulin is given through sub-cutaneous route